True about Coronary Calcium Scoring EXCEPT:
1. Done with the help of CT scan machine
2. Requires administration of iodinated contrast
3. Score >400 indicates very high risk of ischemic heart disease
4. Radiation dose ~1-2 mSv

Correct answer: 2. Requires administration of iodinated contrast

Explanation: CT Coronary Calcium Scoring Simplest application of cardiac CT Does not require administration of iodinated contrast. Presence of coronary artery calcification has been associated with increased burden of atherosclerosis and cardiovascular mortality. Radiation dose associated is very low (~1-2 mSv). Coronary calcium is then quantified(Agatston score) Categorized as Minimal (0-10) Mild (10-100) Moderate (100-400) Severe (>400)